Anterolateral avulsion fracture of the distal tibial physis is known as ?
1. Potts fracture
2. Tillaux fracture
3. Chopartracture
4. Jones fracture

Correct answer: 2. Tillaux fracture

Explanation: Ans. is 'b' i.e., Tillaux fracture Tillaux fractures Fracture occurring in older adolescents. Mechanism of injury is an external rotational force with stress placed on the anterior tibio - fibular ligament, causing avulsion of the distal tibial physisanterolaterally. It occurs after the medial part of the physis has closed but before the lateral part closes. It is either Salter-Harris type III or IV fracture.